Citelli angle is
1. Solid angle
2. CP angle
3. Sinodural angle
4. Part of macevan triangle

Correct answer: 3. Sinodural angle

Explanation: Citelli angle is also called as sinodural angle.Citelli's angle (Sinodural angle)- is an angle between the sigmoid sinus and middle fossa dural plate. Ref- Dhingraa textbook for ENT 6th edition.